Cephalic index is used for -
1. Race
2. Age
3. Sex
4. Caste

Correct answer: 1. Race

Explanation: Ans. is 'a' i.e. Race o Cephalic index, height index & nasal index are used for determination of race,o Cephalic index = maximum breadth of skull' maximum length of skull x 100Type of skullCephalic indexRace1) Dolico-cephalic70-75Pure Aryans, aborigines & negros2) Maesati-cephalic75-80Europeans & Chinese3) Brachy-cephaiic80-85Mongolian